True about genital infection is?
1. Thin frothy secretions associated with mondial infection
2. Patients and partners are given metronidazole for mondial infection
3. Tetracycline is drug of choice for trichomonas vaginalis
4. Clue cells are associated with gardenella vaginalis

Correct answer: 4. Clue cells are associated with gardenella vaginalis

Explanation: ANSWER: (D) Clue cells are associated with Trichomonas vaginalisREF: Shaw 14th ed p. 132Drug of choice for various genital infections in women:Chlamydia : azithromycin + contact tracing , in pregnancy erythromycin is 1st DOC , amoxicillin is 2ndTrichomonas : metronidazole to both the partnersBacterial vaginosis: metronidazoleCandida: oral fluconazole or ketoconazole , topical miconazole or teraconazoleGonorrea: ceftriaxone , ofloxacin , ciprofloxacinHerepes simplex: acyclovirSome important points about genital infections: Bacterial vaginosisTrichomoniasisMoniliasisOrganismGardenella vaginalis, hemophillus vaginosis, mobilincus, ureplasma ureolyticum, mycoplasma hominisTrichomonas vaginalisCandida albicansDischargeThick, grey white discharge , sticking to vaginal walls with bad odourYellowish green frothy discharge with dysuria and pruritus with bad odourWhite cottage cheese with itching and burningDiagnosisWhiff test on KOH, Clue cells on microscopy with | In WBC and clumps of bacteriaTrichomonas on saline wet mountHyphae and buds on 10% KOH